Most common histological type of the thyroid carcinoma is:
1. Medullary type
2. Follicular type
3. Papillary type
4. Anaplastic type

Correct answer: 3. Papillary type

Explanation: Thyroid cancers are classified according to their histopathological characteristics and they are: ? Papillary thyroid cancer (75% to 85% of cases ) - often in young females - excellent prognosis ? Follicular thyroid cancer (10% to 20% of cases ) ? Medullary thyroid cancer (5% to 8% of cases)- cancer of the parafollicular cells, often part of MEN-2 syndrome. ? Anaplastic thyroid cancer (Less than 5%). It is not responsive to treatment and can cause pressure symptoms. ? O thers ? ? Lymphoma ? ? Squamous cell carcinoma, sarcoma Ref: Robbin's Basic Pathology, 7th Edition, Page 1177; Harrison's Internal Medicine, 18th Edition, Page 2243; Bailey and Love's Short Practice of Surgery, 25th Edition, Page 792